Eruption of Deciduous Maxillary Canine occur at
1. 8-9 months
2. 10-11 months
3. 19-20 months
4. 15-16 months

Correct answer: 3. 19-20 months